Which of the following is used to detect mucosa in Meckel's diverticulum:
1. Technetium-99 scan
2. Barium meal
3. CT scan
4. MRI scan

Correct answer: 1. Technetium-99 scan

Explanation: Ans. A: Technetium-99 scan Meckel's diverticulum can be very difficult to demonstrate by contrast radiology; small bowel enema would be the most accurate investigation Technetium-99m scanning may be useful in identifying Meckel's diverticulum as a source of gastrointestinal bleeding